All of the following are true regarding a patient with acid peptic disease except
1. Misoprostol is the drug of choice in patients on NSAIDS
2. DU is preventable by the use of single night time H2 blockers
3. Omeprazole may help ulcers refractory to H2 blockers
4. Misoprostol is DOC in pregnant patients

Correct answer: 4. Misoprostol is DOC in pregnant patients

Explanation: Answer is D (Misoprostol is Drug of choice in pregnant patients) Stimulant effect of Misoprostol on the uterus makes it contraindicated in women of child bearing age. The prostaglandin analogue misoprostol is effective in the prevention of NSAID induced gastric and duodenal ulcerdeg and is the only agent approved by the FDA for this purposeQ CMDT-2001/609 Misoprostol causes a dose dependent diarrhea and its stimulant effect on the uterus makes it contraindicated in women of child bearing agedeg. Katzung 8th/1068 H2 receptor antagonist : whereas previous recommendations were to administer these agents at least twice a day, a single bed time dose may be just as effective and may elicit better compliance - Katzung - For uncomplicated peptic ulcers, H2 receptor antagonists may be administered twice daily or once daily at bed time, with equivalent efficacy- CMDT 2001 Proton pump inhibitors (Omeprazole) : They are superior to H2 receptor antagonists and to misoprostol in the healing of NSAID induced gastric ulcer. - Compared to H2 Receptor antagonists, proton pump inhibitor provide faster pain relief and more rapid ulcer healing. Alternate pharmacological approaches to failure of an H2 blocker include : - using a higher dose of the same H2 blocker. - switching to another H2 receptor antagonist - switching to a proton pump inhibitere (Omeprazole)